Klebsiella pneumoniae causes:
1. Chalazion
2. Entropion
3. Keratitis
4. Stye

Correct answer: 3. Keratitis

Explanation: Klebsiella pneumonia causes Keratitis M/C/C in world - staph aureus M/C in India - Pneumococcus ( ulcus serpens & hypopyon corneal ulcer) Chalazion also called tarsal/meibomian cyst. chronic non infective lipogranulomatous inflammation Of the meibomian gland Entropion Inward rolling of eye lid Stye Suppurative inflammation of the Zeis or moll